In AS type of tympanogram, compliance:
1. Increases
2. Decreases
3. Normal
4. Not related

Correct answer: 2. Decreases

Explanation: Ans. bRef.: Diseases of Ear, Nose and Throat. PL Dhingra. 6th edn.Option aFalse Option bTrueCompliance is less than 0.3 mLOption cFalse Option dFalse Option eFalse Tympanometry is a test of middle ear functioning. It looks at the flexibility (compliance) of the eardrum to changing air pressures, indicating how effectively sound is transmitted into the middle ear. This objective test also allows to view the functioning of the Eustachian Tube, the upper auditory pathways and the reflex contraction from the middle ear muscles. Impedance testing is crucial in distinguishing a conductive loss from a sensorineural hearing loss. A typical tympanometry result indicates the ear canal volume (cm3), the max pressure (daPa) and the peak compliance (mL).ClassificationType ASuggests normal middle ear functioningPeak is between +-100 daPaCompliance from 0.3 to 1.5 mLType ADSuggests a highly compliant middle ear systemPeak is between +-100 daPaCompliance is more than 1.5 mLType ASSuggests a less compliant middle ear systemPeak is between +-100 daPaCompliance is less than 0.3 mLType BSuggests middle ear involvement from fluid (middle ear effusion)There is no identifiable peakEar canal volume is normalType B-HighSuggests middle ear involvement from a perforation or patent grommetThere is no identifiable peakEquivalent ear canal volume exceeds normal limits; much larger than 1.5 cm3.Type CSuggests Eustachian Tube dysfunction (often seen just before or after effusion)Peak is below - 100 daPaCompliance from 0.3 to 1.5 mL